Minimum recommended level of Residual chlorine in Swimming pools is:
1. 0.5 mg/L
2. 0.7 mg/L
3. 1.0 mg/L
4. 2.0 mg/L

Correct answer: 3. 1.0 mg/L

Explanation: - Level of residual chlorine to be maintained for swimming pool sanitation is > 1.0 mg/L with contact period of 1 hour. - Also Remember, Free/ residual chlorine levels recommended in:- Drinking water = >= 0.5 mg/ L ; with contact period of 1 hour. Drinking water to kill cyclops = >= 2.0 mg/L ; with contact period of 1 hour.